The only definitive indication of systemic steroids in psoriasis-
1. Pustular psoriasis
2. Impetigo herpetiformis
3. Psoriatic arthropathy
4. Erythroderma

Correct answer: 2. Impetigo herpetiformis

Explanation: Only indication for use of systemic steroids is generalized pustular psoriasis in pregnancy ( impetigo herpetiformis). IADVL textbook of dermatology page 1049